Depth of anaesthesia by inhalation anaesthetics depends upon
1. Respiratory minute volume
2. Solubility of anaesthetic agent in blood
3. Blood concentration of anaesthetic agent
4. All of the above

Correct answer: 4. All of the above

Explanation: (D) All of the above # Depth of anaesthesia depends on the potency of the agent (MAC is an index of potency) and its partial pressure (PP) in the brain, while induction and recovery depend on the rate of change of PP in the brain.> Factors affecting PP of anaesthetic attained in brain are: PP of anaesthetic in the inspired gas Pulmonary ventilation Alveolar exchange Solubility of anaesthetic in blood Solubility of anaesthetic in tissue Cerebral blood flow